If amphotericin B is administered, the patient should not be premedicated with:
1. Diphenhydramine
2. Ibuprofen
3. Prednisone
4. Atazanavir

Correct answer: 4. Atazanavir

Explanation: Amphotericin B infusion is associated with Acute Reaction which consists of chills, fever, aches and pain all over, nausea, vomiting and dyspnoea lasting for 2- 5 hour, probably due to release of cytokines (IL, TNFa). Therefore to prevent this reaction, patient should be premedicated with: H1 antihistaminics like diphenhydramine NSAIDs like ibuprofen Steroids like prednisone